Select the sulfonamide drug which is active against Pseudomonas and is used by topical application for prophylaxis of infection in burn cases
1. Sulfadoxine
2. Sulfadiazine
3. Silver sulfadiazine
4. Sulfamethoxazole

Correct answer: 3. Silver sulfadiazine

Explanation: Silver sulfadiazine Used topically as 1% cream, it is active against a large number of bacteria and fungi, even those resistant to other sulfonamides, e.g. Pseudomonas. mech of action:- It slowly releases silver ions which appear to be largely responsible for the antimicrobial action. It is considered to be one of the most effective drugs for preventing infection of burnt surfaces and chronic ulcers and is well tolerated. However, it is not good for treating established infection. Ref:- kd tripathi; pg num:-706